Causes of vitamin B12 deficiency is:
1. Lack of intrinsic factor
2. Diseases affecting terminal ileum
3. Fish tapeworm infestation
4. All of the above

Correct answer: 4. All of the above

Explanation: Ans. D: All of the aboveCauses of Vitamin B12 deficiency:Inadequate Consumption: Vitamin B12 deficiency develops in people who do not consume any animal products (vegetarians) unless they take supplements.Inadequate Absorption: The most common cause of vitamin B17 deficiency is inadequate absorption. The following conditions can cause absorption to be inadequate:- Overgrowth of bacteria in part of the small intestineMalabsorption disorders- Inflammatory bowel disease- Fish tapeworm infection- Surgery that removes the part of the small intestine where vitamin B12 is absorbedDrugs such as antacids and metformin- Lack of intrinsic factor- Intrinsic factor may be lacking because abnormal antibodies, produced by an overactive immune system, attack and destroy the parietal/ oxyntic cells that produce intrinsic factor--an autoimmune reaction- Decreased stomach acidityInadequate storage: Liver disorders may interfere with the storage of vitamin B12.